Stanford classification is used to represent which of the following?
1. Aortic rupture
2. Aortic dissection
3. Intramural hematoma
4. Penetrating atheosclerotic ulcer

Correct answer: 2. Aortic dissection

Explanation: Classification of aortic dissections: Stanford classification: Type A involve the ascending aorta independent of site of tear and distal extension. Type B dissections involve transverse and/or descending aorta without involvement of the ascending aorta. DeBakey classification: Type I dissection involves ascending to descending aorta. Type II dissection is limited to ascending or transverse aorta, without descending aorta. Type III dissection involves descending aorta only. Ref: Harrisons Principles of Medicine, 18th Edition, Chapter 248, Figure 248-4, Page 2063